What are the urinary albumin levels in microalbuminuria ?
1. 8-10 mg/day
2. 30-300 mg/day
3. 100-150 mg/day
4. 301-600 mg/day

Correct answer: 2. 30-300 mg/day

Explanation: The normal mean albumin excretion rate (AER) is 8-10 mg/day,. AER of >30 mg/day is considered as abnormal. AER between 30 to 300 mg/day is called as Microalbuminuria . It is a hallmark of early diabetic nephropathy. Levels greater than 300 mg/day are called as macroalbuminuria . Nowdays term microalbuminuria and macroalbuminuria are replaced by moderately and severely increased albuminuria.